All of the following drug inhibit the cell wall synthesis except:
1. Penicillin
2. Fosfomycin
3. Vancomycin
4. Tetracycline

Correct answer: 4. Tetracycline

Explanation: Ans. D. TetracyclineDrugs inhibiting the cell wall synthesis- beta lactam, bacitracin, vancomycin, cycloserine, Fosfomycin. Tetracycline acts via protein synthesis inhibition.